Consanguinous marriages increase the risk of which of the following diseases?
1. Autosomal dominant diseases
2. Autosomal recessive diseases
3. X linked dominant diseases
4. Environmental diseases

Correct answer: 2. Autosomal recessive diseases

Explanation: Consanguinity Increases risk of autosomal recessive diseasesNo change in risk of autosomal dominant, X - linked recessive (if neither parent affected)Not Proven in complex late-onset diseases like diabetes, schizophrenia, cardiovascular diseases(Refer: Nelson's Textbook of Pediatrics, SAE, 1st edition, pg no. 595-598)